Sullivan's index measures -
1. Mortality
2. Morbidty
3. Infectivity
4. Disability

Correct answer: 4. Disability

Explanation: Ans. is 'd' i.e., Disability